A 32 year old male is a known hypertensive and is being planned for cholecystectomy. Which of the following anaesthetic agents is contraindicated in this person?
1. Propofol
2. Ketamine
3. Midazolam
4. Etomidate

Correct answer: 2. Ketamine

Explanation: Essentials of medical pharmacology, seventh edition, page no=384 Answer is option2, ketamine Ketamine is dangerous for hypertensives, in ischaemic heart disease(increases cardiac output), in congestive heart failure and in those with raised intracranial pressure(ketamine increases cerebral blood flow and oxygen consumption, but is good for hypovoleimic patients.